During second trimester of pregnancy, erythropoiesis occurs in the fetus primarily in?
1. Liver
2. Spleen
3. Red bone marrow
4. Lymph nodes

Correct answer: 1. Liver

Explanation: Ans. (a) LiverSites of HaematopoiesisYolk sac at 2 weeksEarliest Hemoglobin to be formed isGower 1. This is followed by Gower 2 and finally Portland.In fetus in liver and partly spleen.HbF appears at 14 weeksAt birth it shifts to the bone marrowHbA appears at 38 weeksMISCELLANEOUS